Which of the following is the best parameter to assess fluid intake in a polytrauma patient:
1. Urine output
2. Blood pressure
3. Pulse
4. Pulse oximtery

Correct answer: 1. Urine output

Explanation: Ans. A: Urine output